All of the following syndromes are seen with obesity except:
1. Prader - Willi syndrome
2. Cohen syndrome
3. Laurence Moon - Biedl syndrome
4. Carcinoid syndrome

Correct answer: 4. Carcinoid syndrome

Explanation: Cohen syndrome - Cohen syndrome is Paternal inheritance always associated with obesity Carcinoid syndrome - Excess of 5 HT derivatives : Serotonin increase leads to secretory diarrhea & will Result in weight loss Prader willi syndrome - caused by deletion of chromosome 15 Short stature, obesity, inappropriate laugh so called as happy puppets and intellectual disability.